Organism responsible for toxicity due to Chinese fried rice:
1. Staph. Aureus
2. B. Cereus
3. Salmonella
4. Shigella

Correct answer: 2. B. Cereus

Explanation: Ref: Microbiology by Ananthanarayan and Paniker, 8th ed. pg. 247, 654The common source of B. cereus is fried rice.Bacterial Food PoisoningIncubation period, organismSymptomsCommon sources1-6 HStaphylococcus aureusNausea, vomiting, diarrheaHam, poultry, potato or egg salad, mayonnaise, cream pastriesBacillus cereusNausea, vomiting, diarrheaFried rice8-16 HClostridium perfringensAbdominal cramps, diarrhea (vomiting rare)Beef, poultry, legumes, graviesB. cereusAbdominal cramps, diarrhea (vomiting rare)Meats, vegetables, dried beans, cereals> 16 HVibrio choleraeWatery diarrheaShellfishEnterotoxigenic Escherichia coliWatery diarrheaSalads, cheese, meats, waterEnterohemorrhagic E. coliBloody diarrheaGround beef, roast beef, salami, raw milk, raw vegetables, apple juiceSalmonella spp.Inflammatory diarrheaBeef, poultry, eggs, dairy productsCampylobacter jejuniInflammatory diarrheaPoultry, raw milkShigella sppDysenteryPotato or egg salad, lettuce, raw vegetablesVibrio parahaemolyticusDysenteryMollusks, crustaceans